A case of suspected homicide comes to a doctor. He is supposed to inform to police under section... of CrPC(Criminal penal code) -
1. 174
2. 39
3. 37
4. 176

Correct answer: 2. 39

Explanation: S.174-Inquiry by police officer into cause of death. S.176-Inquiry by magistrate into cause of death. Ref:Textbook of forensic medicine (V.V.Pillai) pg no-16,17 (16th edition)